The most common ocular motility problem in thyroid myopathy is due to involvement of :
1. Medial rectus
2. Superior rectus
3. Inferior rectus
4. Inferior oblique

Correct answer: 3. Inferior rectus

Explanation: C i.e. Inferior rectus In thyroid eye disease, the ocular motality defects due to restrictive myopathy (in order of frequency) are -elevation (due to fibrosis of inferior rectus) Q, abduction (due to fibrosis of medial rectus), depression (due to fibrosis of superior rectus) & adduction (due to fibrosis of lateral rectus).